All the following are seen in IUD except
1. Spalding sign
2. Robert sign
3. Balls sign
4. Hegar sign

Correct answer: 4. Hegar sign

Explanation: Intrauterine death : Presence of gas in the fetal large vessels - Roberts sign is the earliest sign seen 12 hrs after fetal death Ball sign - Crumpled up spine of the fetus or hyperflexion of the spine Spalding's sign -Overlapping of the fetal skull bones due to shrinkage of cerebrum after death of fetus. Ref:Dutta Obs 9e pg 303.